Which of the following is a selective estrogen receptor modulator ?
1. Raloxifene
2. Mifepristone
3. Danazol
4. Anastozole

Correct answer: 1. Raloxifene